Which of the following is a derived lipid?
1. Fatty acids
2. Glycolipid
3. Phospholipid
4. Triglyceride

Correct answer: 1. Fatty acids

Explanation: Classification of lipids Type Examples Simple lipids Fats (Triacylglycerols), Waxes Complex lipids Phospholipids, Aminolipids, Glycolipids, Sulfolipids Precursor & Derived lipids Fatty acids, glycerol, steroids, fatty aldehydes, ketone bodies hydrocarbons, lipid-soluble vitamins, hormones